Mark the false statement regarding Botryomycosis
1. Chronic granulomatous disease
2. Mainly viscera is affected
3. Causative organism is Staphylococcus aureus
4. Present with sinuses and purulent discharge

Correct answer: 2. Mainly viscera is affected

Explanation: Botryomycosis/Bacterial pseudomycosis/ Pyoderma vegetans - Chronic granulomatous disease Mainly skin is involved, viscera may be affected rarely Etiology - Bacterial Most common causative bacteria - Staphylococcus aureus Pseudomonas species, Escherichia coli, Proteus species and Streptococcus species occasionally may cause disease The word "Botryo" is derived from Greek word "Botrys" which means "bunch of grapes." It is a misnomer as it is caused by a bacteria and not fungus Botryomycosis may present in cutaneous or visceral forms - Cutaneous form is a chronic persistent condition that presents with chronic, suppurative, and granulomatous skin lesions. It may be preceded by trauma. Most cases present with nodules, abscesses, and sinuses with purulent discharge. Visceral form is usually with pulmonary involvement